Which of the following is the most reliable method of estimating blood alcohol level?
1. Cavett's test
2. Breath alcohol anaylzer
3. Gas liquid chromatography
4. Thin layer chromatography

Correct answer: 3. Gas liquid chromatography

Explanation: C i.e. Gas liquid chromatography Gas chromatography is most desirable method of alcohol estimation for medicolegal purposeQ